Which of the following is act as a procoagulation protein?
1. Thrombomodulin
2. Protein C
3. Protein S
4. Thrombin

Correct answer: 4. Thrombin

Explanation: Procoagulation proteins serve as a precursor of various blood factors necessary for coagulation. Thrombin/ Factor II is a procoagulation protein because it converts the soluble plasma protein fibrinogen into insoluble fibrous protein fibrin. Thrombin also induce recruitment of platelet and induce release of granules from them. Ref: Robbins Pathologic Basis of Disease 6th Edition, Page 119, 120